A 22-year old software engineer was brought in an unconscious state to the casualty. Clinical examination revealed features suggestive of shock, DIC and multisystem failure. CSF and petechial rashes yielded gram-negative diplococci, which subsequently grew on modified Thayer-Martin medium. This isolation is known to be associated with
1. Waterhouse-Friderichsen syndrome
2. Fitz-Hugh-Curtis syndrome
3. Job's syndrome
4. Toxic shock syndrome

Correct answer: 1. Waterhouse-Friderichsen syndrome

Explanation: Fulminant meningococcemia caused by Neisseria meningitidis is called Waterhouse Friderichsen syndrome. Fatal condition - characterized by shock, disseminated intravascular coagulation and multisystem failure. Meningococci can be isolated from petechial lesions. The selective media for growth of Meningococci is modified Thayer Martin media. Meningococcal disease is favored by the deficiency of the terminal complement component (C5-C9). Reference: Textbook of Microbiology; Anathanarayan and panicker's; 10th edition; Page no: 232